The prognosis of rapidly proliferating glomerulonephritis (Crescentric GN) depends upon?
1. Number of crescents
2. Size of crescents
3. Shape of crescents
4. Cellularity of crescents

Correct answer: 1. Number of crescents

Explanation: Ans. is 'a' i.e., No. of crescents prognosis can be roughly related to the number of crescents; patients with crescents in less than 80% of the glomeruli have a slightly better prognosis than those with higher percentage of crescents"